Commonest presentation of hydatidiform mole is:
1. Hyperemesis gravidarum
2. Bleeding
3. Pre-eclampsia
4. Choriocarcinoma

Correct answer: 2. Bleeding

Explanation: Ans. B: Bleeding Vaginal bleeding is the commonest presentation of hydatidiform mole (90%) Hydatid mole: Molar pregnancy is an abnormal pregnancy, characterized by the presence of a hydatidiform mole (or hydatid mole, mola hydatidosa) MC GTD (gestational trophoblastic disease) following H. mole is invasive mole Hydropic degeneration of villi is the histological characteristic of H. mole Imaging technique of choice for diagnosing H. mole is USG Snowstorm appearance is seen on USG Molar pregnancy is usually diagnosed in 1st trimester Molar pregnancy is associated with: PIH, thyrotoxicosis, hyperemesis